Contraceptive efficacy expressed as -
1. 100 women months
2. 1000 women years
3. 100 women years
4. 10 women years

Correct answer: 3. 100 women years